Acute hemorrhagic conjunctivitis is caused by
1. Adenovirus
2. Enterovirus-70
3. Coxsackie virus-A24
4. All of the above

Correct answer: 4. All of the above

Explanation: ACUTE HAEMORRHAGIC CONJUNCTIVITIS It is an acute inflammation of conjunctiva characterised by multiple conjunctival haemorrhages, conjunctival hyperaemia and mild follicular hyperplasia. Etiology: The disease is caused by picornaviruses (enterovirus type 70), Coxsackie virus A-24, Adenovirus, pneumococcus. The disease has occurred in an epidemic form in the Far East, Africa and England and hence the name 'epidemic haemorrhagic conjunctivitis (EHC)' has been suggested. An epidemic of the disease was first recognized in Ghana in 1969 at the time when Apollo XI spacecraft was launched, hence the name 'Apollo conjunctivitis'. Reference :- A K KHURANA;6th edition , page:-69